Main advantage of chisel edge finish line is:
1. Conservation of tooth structure
2. Provides adequate bulk of metal
3. Provides easy visualization on impression
4. All of the above

Correct answer: 1. Conservation of tooth structure